Most common type of lupus nephritis ?
1. Memberanous
2. Mesangial
3. Focal proliferative
4. Diffuse proliferative

Correct answer: 4. Diffuse proliferative

Explanation: Ans. is `d' i.e., Diffuse proliferative